The function of Phospholamban is
1. Regulates Na+ K+ pump
2. Transports calcium out of the mitrochondria
3. Binds actin with myosin
4. Inhibits Ca++ pump on sarcoplasmic reticulum

Correct answer: 4. Inhibits Ca++ pump on sarcoplasmic reticulum

Explanation: Phospholamban inhibits calcium pump on sarcoplasmic reticulum, thereby preventing uptake of Ca++ from the sarcoplasm. 
When it is phosphorylated, the Ca++ channels open up and uptake of Ca++ is increased into the sarcoplasmic reticulum.